Which of the following is NOT a cause of congenital hypercoagulability aEUR'
1. Protein C deficiency
2. Protein S deficiency
3. Antiphospholipid antibody syndrome
4. MTHFR gene mutations

Correct answer: 3. Antiphospholipid antibody syndrome

Explanation: Antiphospholipid antibody syndrome Congenital Factor V Leiden (5% of the population are heterozygous for FVL). Prothrombin mutation (G20210A, 5'UTR). High homocysteine levels due to MTHFR mutation Sickle-cell disease (only small risk) Antithrombin III deficiency. Protein C deficiency. Protein S deficiency. Plasminogen and fibrinolysis disorders (very rare) Acquired Antiphospholipid antibodies - Anti-cardiolipin antibodies and/or - Lupus anticoagulants Heparin-induced thrombocytopenia Paroxysmal nocturnal hemoglobinuria Nephrotic syndrome Hyperestrogenemia Estrogen-containing honnonal contraceptives Tobacco smoking Hyperhomocysteinemia due to vitamin B12 and folic acid deficiency